Most common type of hernia in females is:
1. Direct inguinal hernia
2. Indirect inguinal hernia
3. Femoral hernia
4. Umbilical hernia

Correct answer: 2. Indirect inguinal hernia

Explanation: MC type of hernia in males: Indirect inguinal hernia Femoral hernia is more common in females than in males but in females most common is indirect inguinal hernia. MC type of hernia in females: Indirect inguinal hernia Direct inguinal hernia is more common in the elderly